A 36 yrs old female who is chronic alcoholic feels that she can hear voices commanding her to do thing and has difficulty in falling sleep. Diagnosis is-
1. Delirium tremens
2. Depression
3. Alcoholic hallucinosis
4. Wernicke's encephalopathy

Correct answer: 3. Alcoholic hallucinosis

Explanation: Ans. is 'c' i.e Alcoholic Hallucinosis Alcoholic hallucinosis is one of the withdrawal syndromes of chronic alcoholism."It is characterized by the presence of hallucinations (usually auditory)* during abstinence, following regular alcohol intake. 'These hallucinations persist after the withdrawal syndrome is over and classically occur in clear consciousness. "other withdrawal syndromesCommonest withdrawal syndrome is - hangover the next morning.Delirium tremensis the most severe alcohol withdrawal syn.it usually occurs within 2-4 days* of complete or significant abstinence from heavy alcohal drinkingthe course is short with recovery occuring within 3-7 days.It is an acute organic brain syndrome characterized by -Clouding of consciousness with disorientation in time and place*Visual (also auditory) hallucinations. *Tactile hallucination of insects crawling over body may occur *Marked autonomic disturbance with tachycardia, fever, sweating, hypertension and pupillary dilatation. *Psychomotor agitation and ataxia*Alcoholic seizures (rum fits)Generalized tonic clonic seizures occur in about 10% of alcohol dependant patients, usually 12-48 hrs after a heavy bout of drinking,Wernicke's encephalopathyis a type of neuropsychiatric complications of chronic alcoholismThis is an acute reaction to severe thiamine deficiency*, the commonest cause being chronic alcohol use.Characterized by the triad of*Global confusion* Ophthalmoplegia* Mnemonic : GOAAtaxia*